Which of the following is not a component of dentogenic concept in selecting  anterior teeth?
1. Age
2. Sex
3. Preference
4. Personality

Correct answer: 3. Preference

Explanation: Dentogenic concept
This concept was advocated by Frush and Fisher (1957). It was based on sex, personality and age of the patient (SPA concept or factors). The teeth were selected and arranged according to this concept.

Sex: Curved facial features are associated with femininity and square with masculinity. To create harmony between the tooth form and face, teeth of females may be more ovoid or tapering than square as compared to males. The incisal edges may also be rounded for females. Square feature is associated with masculinity.
Personality: A vigorous personality requires square teeth with flat incisal edges, while a delicate personality will require ovoid teeth.
Age: With age, the teeth wear at the incisal edges and interproximal surfaces. Labial surfaces seem flatter and form appears squarer. The same should be considered while selecting the teeth.

Key Concept:
This concept was advocated by Frush and Fisher (1957). It was based on sex, personality and age of the patient (SPA concept or factors). The teeth were selected and arranged according to this concept.